Treatment of vernal keratoconjunctivitis includes all except:
1. Steroids
2. Chromoglycate
3. Olopatadine
4. Antibiotics

Correct answer: 4. Antibiotics

Explanation: Ans. Antibiotics